Harvard criteria are for -
1. Brain death
2. Brain stem death
3. Small obturator foramen
4. None of the above

Correct answer: 1. Brain death

Explanation: Ans. is 'a' i.e. Brain death Harvard criteria Brain of deathIt is a set of 4 conditions as set by the Harvard School of Medicine for diagnosis of irreversible coma or brain death. They are:Unreceptivity and unresponsivenessLack of movements or breathingAbsent reflexesFlat electroencephalogram (confirmatory)These conditions also are to be met:Body temperature >= 32 CNot under the influence of CNS depressants